Which cement base has the highest modulus of elasticity?
1. Zinc polycarboxylate
2. Polymer reinforced ZOE cement
3. Zinc phosphate
4. Glass inomer cement

Correct answer: 3. Zinc phosphate